Helper cells belong to -
1. T cells
2. Macrophages
3. B cells
4. Monocytes

Correct answer: 1. T cells

Explanation: Ans. is 'a' i..e.,T cells T-cells . T cells are amongst the two important cells of adaptive immune system (others are B-cells). . T cell precursors arise in bone marrow (also in yolk sac & liver before birth) and migrate to the thymus. . Maturity of T-cells takes place in the thymus (So, T cells arise in bone marrow and mature in thymus).